DOC for "rapid cyclers" type of bipolar disorder is-
1. Carbamazepine
2. Valproate
3. Phenytoin
4. Lithium

Correct answer: 2. Valproate